MRI done in a 28yrs old male suffering from Neurofibromatosis 2 showed ice cream cone appearance. On asking he further revealed that it began with ringing sensation in ears which progressed to balance problems and hearing loss. Which of the following is the most likely diagnosis
1. Meningioma
2. Ependymoma
3. Schwannoma
4. Gangioneuroma

Correct answer: 3. Schwannoma

Explanation: NF2 is associated with bilateral vestibular schwannomas and hearing loss benign tumors usually originate from perineural fibroblasts. intracranial schwannomas originate from vestibular branch of eighth cranial nerve. Malignant schwannomas although rare, are treated with radiation therapy, if the curative resection is not possible. C/F :- SNHL (M/C) presentation Tinnitus Vertigo/Dizziness MRI shows - ice cream cone appearance - depicting b/l vestibular schwannomas